The properties of fast twitch muscle area) Extensive sarcoplasmic reticulumb) Extensive blood supplyc) Large glycolytic pathwayd) Abundant mitochondriae) Made up of large number of small fibres with some long fibre muscles.
1. ac
2. bc
3. ad
4. b

Correct answer: 1. ac

Explanation: Characters of fast twitching muscles.
-        Mitochondria- low
-        Blood supply- normal
-        Fibres- Large
-        Sarcoplasmic reticulum- extensive
Glycolytic activity- high